Bosophillic stippling is seen in
1. Cadmium Poisoning
2. Lead Poisoning
3. Chromium poisoning
4. Iron poisoning

Correct answer: 2. Lead Poisoning

Explanation: Refer robbins 8/e p406 Lead poisoning is a type of metal poisoningcaused by lead in the body. The brain is the most sensitive. Symptoms may include abdominal pain, constipation, headaches, irritability, memory problems, inability to have children, and tingling in the hands and feet. It causes almost 10% of intellectual disability of otherwise unknown cause and can result in behavioral problems. Some of the effects are permanent. In severe cases anemia, seizures, coma, or death may occur Associated conditionsEdit Thalassemia (b-thalassemia Minor (i.e Trait) & Major, and a-thalassemia, only when 3 gene loci defective: (--/-a)) Severe megaloblastic anemia Hemolytic anemia Sickle-cell anemia Pyrimidine 5' nucleotidase deficiency Alcoholism Myelodysplastic syndromes Sideroblastic anemia Congenital dyserythropoietic anemia Primary myelofibrosis Leukemia Erythroleukemia Hemorrhage, e.g. from gastrointestinal tract CPD-choline phosphotransferase deficiency Unstable hemoglobins Altered hemoglobin biosynthesis Heavy metal poisoning Lead poisoning Zinc Arsenic Silver Mercury